Electron microscopy was introduced by:
1. Leeuwenhoek
2. Robert Koch
3. Ruska
4. Paul Ehrlich

Correct answer: 3. Ruska

Explanation: The first prototype electron microscope, capable of four-hundred-power magnification, was developed in 1931 by the physicist Ernst Ruska and the electrical engineer Max Knoll. 
The apparatus was the first practical demonstration of the principles of electron microscopy.